The hormone associated with cold adaption is :
1. Growth hormone.
2. Thyroxine.
3. Insulin.
4. Melanocyte Stimulating Hormone.

Correct answer: 2. Thyroxine.

Explanation: Ans. is 'b' i.e. Thyroxine Hypothalamus is responsible for thermoregulationWhen a person is exposed to cold, thermoregulation occurs in two phases -Immediate-It is mediated through autonomic nervous system | | Heat productionDelayed - It occurs through endocrine systemNote: Due to hypothalamic stimulation horripilation (standing up of body hair) is seen. This causes heat conservation. But this mechanism is of no major importance in man due to scantiness of hair.